Which of the following structure passes through the opening in the diaphragm lying opposite to the T10 vertebrae?
1. Aorta
2. Azygous vein
3. Esophagus
4. Inferior vena cava

Correct answer: 3. Esophagus

Explanation: Opening present in the diaphragm opposite to the T10 vertebra is the esophageal opening. It transmits the esophagus along with other structures such as vagal trunk, oesophageal branches of left gastric artery, and accompanying veins and lymphatics. Aortic opening in the diaphragm lies opposite to T12 vertebrae. It transmits aorta with azygous vein to the right and thoracic duct leading up from the cisterna chyli between them.Vena caval foramen lies opposite to T8 vertebrae. It transmits the inferior vena cava along with the right phrenic nerve.